Vandematram Scheme is included in -
1. RCH
2. ICDS
3. IMCI
4. NRHS

Correct answer: 1. RCH

Explanation: Vandemataram scheme is included in reproductive and child health programme. This is a voluntary scheme wherein any obstretic and gynaec specialist, maternity home, nursing home, lady doctor/MBBS doctor can volunteer themselves for providing safe motherhood services. Ref: PARK'S TEXTBOOK OF PREVENTIVE AND SOCIAL MEDICINE 23rd edition pg 456